Brain dead patient has
1. Pupillary light reflex
2. Vestibulo ocular reflex
3. Cough reflex
4. None of the above

Correct answer: 4. None of the above

Explanation: (D) None of the above # Brain Death contain three essential elements.1. Widespread cortical destruction that is reflected by deep coma and unresponsiveness to all forms of stimulation.2. Global brainstem damage demonstrated by absent pupillary light reaction and by the loss of oculovestibular and corneal reflexes.3. Destruction of the medulla, manifested by complete apnea.# Absence of Brainstem Reflexes:> Pupillary Reflex: Eye Movements Facial Sensation and Motor Response Pharyngeal (Gag) Reflex Tracheal (Cough) Reflex> Reflexive Movement: Oculocephalic reflex (Doll's eyes)> Normal: Eyes move contralateral to the direction of the head turn of 90. C-spine issue> Brain death: No eye movement in response to the turn.